Dwarfism is caused by all EXCEPT
1. Thyroid deficiency
2. Growth hormone deficiency
3. Castration before puberty
4. GH-receptor unresponsiveness

Correct answer: 3. Castration before puberty

Explanation: Thyroid hormones are essential for normal growth and development. If thyroid deficiency occurs in children, any time before the fusion of the epiphyses of the long bones, it leads to growth retardation or arrest. Loss in height that occurs due to this, may be recovered after the administration of thyroid hormone. This is called "catch-up growth". GH deficiency before puberty leads to dwarfism. Castration or extirpation of testes, before puberty, would result in permanent sterility. Absence of testosterone leads to failure of usual pubertal changes to occur, and accessory organs of reproduction do not develop. There is some delay in the closure of epiphyses of long bones, due to absence of testosterone. However, it does not result in dwarfism.